Pharmacovigilance is:
1. Monitoring generic drugs
2. Monitoring drug efficacy
3. Monitoring ethical drug
4. Monitoring adverse effects of drugs

Correct answer: 4. Monitoring adverse effects of drugs

Explanation: Ans. (d) Monitoring adverse effects of drugsRef: KDT 6th ed./ 79* Pharmacovigilance is the science and activities relating to the detection assessment, understanding and prevention of adverse effects or any other possible drug- related problems.* Recently, its concerns have been widened to include herbals, traditional and complementary medicines, blood products, biologicals, medical devices and vaccines.